All are TNF alpha inhibitors except?
1. Daclizumab
2. Infliximab
3. Adalimumab
4. Etanercept

Correct answer: 1. Daclizumab

Explanation: TNF alpha inhibitors include:* Adalimumab* Certolizumab* Etanercept* Infliximab* Golimumab Daclizumab is a monoclonal antibody against CD 25